Laron dwarfism is caused by
1. Deficiency of GH
2. GH receptor defect
3. Deficiency of thyroxin
4. Thyroxin receptor defect

Correct answer: 2. GH receptor defect

Explanation: Laron syndromeDwarfDevelopment of end-organ resistance to growth hormone(Refer: Nelson's Textbook of Pediatrics, SAE, 1st edition, pg no. 2640-2641)